Glossitis and cheilitis seen with which Vit. Deficiency:
1. Vit. B2
2. Vit. B12
3. Vit. K
4. Vit. D

Correct answer: 1. Vit. B2

Explanation: Ans:A (Vit B2) (RefiHarrison 17th/442;Vasudevan 4th/282-83; Chatterjea & Shinde 7th/169] Table (Harrison): Principal Clinical Findings of Vitamin MalnutritionNutrientClinical findingDietary Level per Day Associated with Overt DeficiencyContributing Factors to DeficiencyThiamineBeriberi: neuropathy, muscle weakness and wasting, cardiomegaly, edema, ophthalmoplegia, confabulation<0.3 mg/1000 kcalAlcoholism, chronic diuretic use, hyper- emesis=Riboflavin (B2)QMagenta tongue(Painful glossitisQ, the tongue assuming a red purple colour- Chatterjea & Shinde 7th/169), angular stomatitis, seborrhea, cheilosis<0.6 mg-NiacinPellagra: pigmented rash of sun-exposed areas, bright red tongue, diarrhea, apathy, memory' loss, disorientation<9.0 niacin equivalentsAlcoholism, vitamin B6 deficiency, riboflavin deficiency, tryptophan deficiencyVitamin B6.Seborrhea, glossitis convulsions, neuropathy depression, confusion, microcytic anemia<0.2 mgAlcoholism, isoniazidFolateMegaloblastic anemia, atrophic glossitis, depression, |homocysteine<100 mg/dAlcoholism, sulfasalazine, pyrimethamine. triamtereneVitamin B12Megaloblastic anemia, loss of vibratory and position sense, abnormal gait, dementia, impotence, loss of bladder and bowel control, |homocysteine, |methylmalonic acid<1.0 mg/dGastric atrophy (pernicious anemia), terminal ileal disease, strict vegetarianism, acid reducing drugs (e.g, H2 blockers)Vitamin CScurvy, petechiae, ecchymosis, coiled hairs, inflamed and bleeding gums, joint effusion, poor wound healing, fatigue<10 mg/dSmoking alcoholismVitamin AXerophthalmia, nightblindness, Bitot's spots, follicular hyperkeratosis, impaired embryonic development, immune dysfunction<300 mg/dFat malabsorption, infection, measles, alcoholism, protein-energy malnutritionVitamin DRickets: skeletal deformation, rachitic rosary, bowed legs; osteomalacia<2.0 mg/dAging, lack of sunlight exposure, fat malabsorption, deeply pigmented skinVitamin EPeripheral neuropathy, spinocerebellar ataxia, skeletal muscle atrophy, retinopathyNot described unless underlying contributing factor is presentOccurs only with fat malabsorption, or genetic abnormalities of vitamin E metabolism/transportVitamin KElevated prothrombin time, bleeding<10 mg/dFat malabsorption, liver disease, antibiotic use